In cystoid macular edema, basic defect is:
1. Breakdown of inner blood retinal barrier
2. Breakdown of outer blood retinal barrier
3. Increased permeability of the choriocapillaris
4. All of the above

Correct answer: 1. Breakdown of inner blood retinal barrier

Explanation: Ans. Breakdown of inner blood retinal barrier